Which is not a component of metabolic syndrome?
1. Central obesity
2. Hypertriglyceridemia
3. Increased Insulin sensitivity
4. Hypertension

Correct answer: 3. Increased Insulin sensitivity

Explanation: NCEP: ATPIII Definition Criteria for the Metabolic Syndrome: Three or more of the following: Central obesity: waist circumference >102 cm (M), >88 cm (F) Hypertriglyceridemia: triglyceride level >=150 mg/dL or specificmedication Low HDL cholesterol: <40 mg/dL and <50 mg/dL for men andwomen, respectively, or specific medication Hypertension: blood pressure >=130 mmHg systolic or >=85 mmHg diastolic or specific medication Fasting plasma glucose level >=100 mg/dL or specific medicationor previously diagnosed type 2 diabetes In metabolic syndrome or syndrome X, there is hyperinsulinemia due to insulin resistance Ref: Harrison; 20th edition , pg2903